Which drug can be used in patient of CML with T315i mutation?
1. Imatinib
2. Nilotinib
3. Dasatinib
4. Ponatinib

Correct answer: 4. Ponatinib

Explanation: Drugs against CML with T315I :* Omacetaxine* Ponatinib In CML there is BCR-ABL fusion , due to which there is hyperactivation of tyrosine kinase. ABL-BCR tyrosine kinase inhibitors:* First generation: Imatinib, * Second generation(active against Imatinib resistant cases): Dastanib, Nilotinib.* Third generation: Bosutinib, Ponatinib Ponatinib is the only TK inhibitor which is active against CML wth T315I mutation.